Laetating mother best contraceptive is:
1. Monophasic pill
2. Biphasicpill
3. Triphasic pill
4. Mini pill

Correct answer: 4. Mini pill

Explanation: Ref: Shaw's Textbook of Gynaecology 15th Edition Pg: 233Explanation:Mini pill (progesterone only pill) is the right option.Monophasic. biphasic and triphasic pills are all varieties of combined pills. Combined pills suppress lactation and therefore, not recommended during lactation.Advantages of mini pills:Laetating womenWomen over 35 years and smokersThose with migraineDiabetic womenHypertensive womenSickle cell anemiaThose who are intolerant to estrogen or in whom estrogen is contraindicated.